All are zoonoses except -
1. Typhoid
2. Brucellosis
3. Q fever
4. Plague

Correct answer: 1. Typhoid

Explanation: Salmonella typhi is the major cause of enteric fever.Man is the only known reservoir infection, viz cases and carriers. So its not a zoonotic disease. All others are zoonosis. Reference; Park's Textbook of preventive and social medicine, 24th edition.Pg no. 249